Inhibition of myenteric plexus results in -
1. Hyperacidity
2. Diarrhea
3. Decreased gut motility
4. Increased secretions

Correct answer: 3. Decreased gut motility

Explanation: Ans. is 'c' i.e., Decreased gut motility o The gastrointestinal tract has a nervous system all its own called the enteric nervous system. It lies entirely in the wall of the gut, begining in the esophagus and extending all the way to the anus. The enteric nervous system is composed mainly of two plexus: -Myenteric plexus or Auerbach's plexus : - It is an outer plexus lying between the longitudinal and circular muscle layer. The myenteric plexus controls mainly gastrointestinal motility' therefore, perisalsis requires an active myenteric plexus.Meissner's plexus or submucosal plexus : - It is an inner plexus that lies in the submucosa. The submucosal plexus controls mainly gastrointestinal secretion and local blood flow.